A 50 years male with fracture neck of femur comes after 3 days, treatment of choice is
1. hemiarthroplasty
2. total hip replacement
3. hip spika
4. CR&IF

Correct answer: 4. CR&IF

Explanation: Ans. is 'd' i.e.Closed reduction and internal fixation * Treatment plan of fresh (<3weeks) neck femur: